Which of the following enzyme is involved in rejoining short fragments of DNA on the lagging strand?
1. DNA Ligases
2. DNA Helicase
3. DNA Topoisomerase
4. DNA Polymerase

Correct answer: 1. DNA Ligases

Explanation: The okasaki fragments that are short segments of DNA formed on the lagging strand of DNA in the 5'-3' direction are joined by DNA ligase. Ref: Textbook of Biochemistry By D M Vasudevan, 3rd Edition, Pages 347-8